Intracapsular articular disc is present in which joint-
1. Sternoclavicular joint
2. Elbow
3. Hip joint
4. Knee joint

Correct answer: 1. Sternoclavicular joint

Explanation: Articular disc is present in temporomandibular and sternoclavicular joints.